CD marker for cytotoxic T-cells
1. CD 4
2. CD 8
3. CD 21
4. CD 45

Correct answer: 2. CD 8

Explanation: Ans. is 'b' i.e., CD 8 Helper T-cells --> CD4 positive. o Cytotoxic T-cells and suppressor T-cells --> CD 8 positive.